A young lady taking rifampicin and OCP together become pregnant, most probable cause is
1. Rifampicin causes hepatic enzyme induction and increase metabolism of OCP's
2. Decreased absorption of OCP's
3. Obstruction of fallopian tubes
4. Increase excretion of OCP's

Correct answer: 1. Rifampicin causes hepatic enzyme induction and increase metabolism of OCP's